Investigation of choice for acute appendicitis in children ?
1. USG
2. MRI
3. CT scan
4. X-ray

Correct answer: 1. USG